Activity of all disinfectants is:
1. Reduced by organic debris or blood
2. Increased with heat
3. Hastened by adding 5% oxygen
4. Nullified by ethylene dioxide gas

Correct answer: 1. Reduced by organic debris or blood